Termination of pregnancy in placenta previa is indicated in a) Active bleedingb) Active labourc) Gestational age > 34 weeks with live fetusd) Fetal malformatione) Unstable lie
1. acd
2. abd
3. abc
4. ab

Correct answer: 2. abd